PTT is prolonged in all except:-
1. Hemophilia A
2. Von Willebrand disease
3. Christmas disease
4. ITP

Correct answer: 4. ITP

Explanation: aPTT is used to monitor the activity of Intrinsic pathway. (A.) Hemophilia (B.) Von Willebrand disease C.) Christmas disease (D.) ITP - Idiopathic Thrombocytopenic Purpura most common type of hemophilia is Hemophilia A . Hemophilia A - Factor VIII deficiency | | aPTT Associated with reduction in the half life of Factor VIII | | aPTT Factor IX deficiency || aPTT Disease associated with |platelets, not a clotting factor problem. Parameters affected in ITP a. Increase bleeding time* b. Decrease platelet count